False about the malignant ulcer of stomach is
1. The mucosal folds do not reach the edge of the ulcer
2. Mucosal folds are thickened and fused
3. Ulcer crator is eccentric
4. Margins of the ulcer are overhanging

Correct answer: 4. Margins of the ulcer are overhanging

Explanation: widespread thickening of mucosal wall.Ulcers appear firm raised and nodular. margins of ulcers are heaped up beaded irregular ,base is ragged and necrotic. REF :GENERAL AND SYSTEMIC PATHOLOGY RAMDAS NAYAK PAGE 2ND EDITION NO 386 IMAGE REF: GENERAL AND SYSTEMIC PATHOLOGY RAMDAS NAYAK 2ND EDITION TABLE 13.7 PAGE 389